Corpulence index means -
1. Measurement of obesity
2. Measurement of copper level in serum
3. Measurement of iron losses in faeces
4. Pressure difference b/w chambers of heart

Correct answer: 1. Measurement of obesity

Explanation: It used in calculation of Obesity Ref: Park 25th edition Pgno : 417